DNA fingerprinting is based on possessing in DNA of:
1. Constant tandem repeat
2. Variable number tandem repeat
3. Non-repetitive sequence
4. Exon

Correct answer: 2. Variable number tandem repeat

Explanation: Ans. B. Variable number tandem repeatDNA Finger printingThe use of normal genetic variation in the DNA (SNP or VNTR or RFLP) to establish a unique pattern of DNA fragments for an individual.This is also called DNA Profiling.Most commonly used is VNTR or repeat length polymorphism.The process of DNA finger printing was invented by Alec Jeffreys in 1985.Primer is needed